ATT causing orange coloured urine is:
1. Rifampicin
2. Isoniazid
3. Streptomycin
4. Pyrazinamide

Correct answer: 1. Rifampicin

Explanation: R ifampin (Rifampicin, R): It is a semisynthetic derivative of rifamycin B Adverse effects :The incidence of adverse effects is similar to INH. Hepatitis, a major adverse effect, generally occurs in patients with preexisting liver disease and is dose-related: development of jaundice requires discontinuation of the drug-then it is reversible. Other serious but rare reactions are: * 'Respiratory syndrome': breathlessness which may be associated with shock and collapse. * Purpura, haemolysis, shock and renal failure. Minor reactions usually not requiring drug withdrawal and more common with intermittent regimens are: * 'Cutaneous syndrome': flushing, pruritus + rash (especially on face and scalp), redness and watering of eyes. * 'Flu syndrome': with chills, fever, headache, malaise and bone pain. * 'Abdominal syndrome': nausea, vomiting, abdominal cramps with or without diarrhoea. Urine and secretions may become orange-red but this is harmless. ESSENTIALS OF MEDICAL PHARMACOLOGY K.D.TRIPATHI SIXTH EDITION PAGE NO:741,742